Coffee bean sign is seen in?
1. Gastric volvulus
2. Sigmoid volvulus
3. Hypertrophic pyloric stenosis
4. Midgut volvulus

Correct answer: 2. Sigmoid volvulus

Explanation: ANSWER: (B) Sigmoid volvulusREF: Wofganag 5th e p. 846/748SignDiseaseRat tail appearanceCarcinoma esophagusBird beak appearanceAchalasiaBeak sign/double track/ tram trackHypertrophic pyloric stenosisMedusa head colonies on CTRound wormPincer/daw/coiled spring/target/meniscus signIntussceptionCoffee bean signSigmoid volvulousLead pipe appearanceUlcerative colitisString of kantor/bulls eyeChron's diseaseThumb printing signIschemic colitisSaw tooth appeance on barium enemaDiverticulosisApple core signCarcinoma colonCork screw appearanceDiffuse esophageal spasmString signHypertrophic pyloric stenosis